"Early warning signs of Cancer" that public should be beware of include all except :-
1. Persistent cough
2. Lump or hard area in breast
3. Unexplained weight gain
4. Change in wart/mole

Correct answer: 3. Unexplained weight gain

Explanation: Early warning signs of Cancer:- Unexplained loss of weight Lump/hard area in breast Change in wart/mole Persistive change in digestive / bowel habits Persistent cough or hoarsness Excessive cough of blood at monthly period or loss of blood outside usual dates Blood loss from any natural orifice Swelling or sore not getting better.